True about Program evaluation and review technique (PERT):
1. Better than critical path method for small project
2. Recurrent activities is better monitored than CPM
3. Activities are divided into small goals
4. Main objective to monitor cost

Correct answer: 3. Activities are divided into small goals

Explanation: Answer: (c) Activities are divided into small goals (Ref: Park 23rd/872; Community Medicine by Piyush Gupta 1 st/783 ; Community Medicine with Recent Advances by Suryakantha 4'h/860]PERT(Programme Evaluation and Review Technique) is a management technique which makes possible more detailed planning and more comprehensive supervision.It aids in planning, scheduling and monitoring the project; it allows better communication b/w the various levels of management; it identifies potential problems; it furnishes continuous, timely progress reports; it forms a solid foundation upon which to build an evaluation and checking systemThe essence of PERT is to construct an Arrow Diagram. The diagram represents the logical sequence in which events must take place